Millenium development goal related to maternal health
1. Goal 1
2. Goal 3
3. Goal 5
4. Goal 7

Correct answer: 3. Goal 5

Explanation: Ref:Park's Textbook of Preventive and Social Medicine 25th Ed